Distance of promontory from tympanic membrane -
1. 2mm
2. 5 mm
3. 6mm
4. 7 mm

Correct answer: 1. 2mm